A 30 years old male presented with silvery scales on elbow and knee, that bleed on removal. The probable diagnosis is:
1. Pityriasis
2. Seborrhoeic dermatitis
3. Psoriasis
4. Secondary syphilis

Correct answer: 3. Psoriasis

Explanation: C i.e. Psoriasis